All of the following are functions of CD 4 helper cells, except-
1. Immunogenic memory
2. Produce immnoglobulins
3. Activate macrophages
4. Activate cytotoxic cells

Correct answer: 2. Produce immnoglobulins

Explanation: CD4 T cells are helper T cells. They stimulate B cells to produce antibodies, release of cytokines and are responsible for memory. They do not directly produce any antibody by their own. Basic Pathology, Robbins. Page no.:101